Maggots are not seen before -
1. 4 hours
2. 12 hours
3. 24 hours
4. 52 hours

Correct answer: 3. 24 hours

Explanation: Maggots are larval forms of flies which settle on body within one to two days. They have proteolytic enzymes to penetrate the skin. Dr. Narayana Reddys Synopsis of Forensic Medicine & Toxicology 27 th edition pg. 83.